As per DSM minimum period for which symptoms should be present before a diagnosis of schizophrenia can be made is
1. 4 months
2. 1 month
3. 3 weeks
4. 6 months

Correct answer: 4. 6 months

Explanation: 6 months in DSM 1 month in ICD